Postmortem caloricity seen in all except
1. Sunstroke
2. Tetanus
3. Meningitis
4. Drowning

Correct answer: 4. Drowning

Explanation: Postmortem caloricity The temperature of body remains raised in the initial period after death. This is because of increased metabolic activity irt the cells even after death. The estimation of time since death with be affected if the body temperature rises after death. Body temperature may rise in following conditions: A. When temperature regulating mechanism is severely affected before death as in Sunstroke Pontine hemorrhage B. When there is increase in heat production in the muscles due to convulsions as in: Tetanus Encephalitis Strychnine poisoning C. What there is excessive bacterial or viral activity: Septicaemia Meningitis Typhoid Ref: FORENSIC MEDICINE AND TOXICOLOGY Dr PC IGNATIUS THIRD EDITION PAGE 21